Best tocolytic in a cardiac patient is
1. Atosbian
2. Isoxsuprine
3. Nifedipine
4. MgSO4

Correct answer: 1. Atosbian

Explanation: Atosiban is oxytocin antagonist and best tocolytic in cardiac patients. B agonists and Calcium channel blockers are contraindicated in heart disease complicated pregnancies.